Sympathectomy is indicated in all following conditions except
1. Ischemic ulsers
2. Causalgia
3. Anhidrosis
4. Acrocyanosis

Correct answer: 3. Anhidrosis

Explanation: . Anhidrosis(absence of sweating)is the contraindication ,because hyperhidrosis is the indication of the sympathectomy.other ibdications include cervical rib with vascular manifestations,raynaud's phenomenon,causalgia,sudeck's osteodystrophy,upper limb vasospasam due to other causes etc.... Refer page no 187 of SRB's manual of surgery 5th edition.